Soil forms an important reservoir for all of the following infections, except:
1. Brucellosis
2. Coccoidiomycosis
3. Anthrax
4. Tetanus

Correct answer: 1. Brucellosis

Explanation: Brucellosis is a zoonotic disease with the reservoirs being cattle, sheep, goats, swine, buffaloes, horses and dogs. Soil is not a reservoir for these intra-cellular bacteria although damp soil does contain the bacteria. The above given other three infections have soil as an reservoir. Ref: Microbiology: An Introduction By Toora, 9th Edition, Pages 678; Park's Textbook of Preventive and Social Medicine By K. Park, 19th Edition, Pages 242-43